All are true about cystic hygroma, except
1. Pulsatile
2. May cause respiratory obstruction
3. Common in neck
4. Present in birth

Correct answer: 1. Pulsatile